Side effects of cisplatin include all of the following EXCEPT:
1. Nausea and vomiting
2. Nephrotoxicity
3. Blindness
4. Ototoxicity

Correct answer: 3. Blindness

Explanation: (Ref: KDT 6/e p827, 828) Cisplatin is the most emetic and nephrotoxic anticancer drug.